Nurse like cells are seen in?
1. Chronic Lymphoblatic Leukemia
2. Hodgkin Lymphoma
3. Non Hodgkin Lymphoma
4. Acute Lymphoblatic Leukemia

Correct answer: 1. Chronic Lymphoblatic Leukemia

Explanation: Nurse like cell are Tumor associated Macrophages | Produce cytokines | Provide nourishment to cancer cells | Clonal expansion of the immature B - Cell | Uncontrolled mitosis of immune incompetent B cell in CLL